False statement about TX A2 is
1. It is formed in platelets
2. It is formed from PGG2/h2
3. It is having platelet anti aggregatory reactivity
4. Asprin can inhibit its production

Correct answer: 3. It is having platelet anti aggregatory reactivity

Explanation: TX A2 is produced inside the platelets with the help of TX A2 synthetase It is formed from cyclic Endo peroxidase(PGG2/H2) with the help of an enzyme, cyclooxygenase Aspirin inhibit its production by reversible inhibition of cyclooxygenase enzyme TX A2 causes aggregation of platelets, therefore is prothrombotic Refer kDT 6/e p174